Which of the following is/are anterior branches of internal iliac artery -a) Ilio-lumbar arteryb) Inferior gluteal arteryc) Superior vesical arteryd) Obturator arterye)  Lateral sacral artery
1. bcd
2. acd
3. ac
4. bd

Correct answer: 1. bcd

Explanation: Internal iliac artery- Branches
-        Anterior division
o   Superior vesical
o   Middle rectal
o   Inferior vesical
o   Internal pudendal
o   Vaginal
o   Uterine
o   Obturator
o   Inferior gluteal
 
-        Posterior division
o   Iliolumbar
o   Lateral sacral
      o Superior gluteal